A child, Ramu has swallowed the contents of 2 bottles of a nasal decongestant whose primary ingredient is a adrenoceptor agonist drug. The signs of a activation that may occur in this patient include :
1. Tachycardia
2. Dilatation of pupil
3. Vasodilation
4. All of the above

Correct answer: 2. Dilatation of pupil

Explanation: a-receptors are present on the radial muscles of the iris. Stimulation of a-receptors cause contraction of the radial muscles and will cause mydriasis Whereas tachycardia and vasodilation are due to activation of b-adrenergic receptors.